Chain of lakes" appearance seen in
1. Acute pancreatitis
2. Carcinoma pancreas
3. Chronic pancreatitis
4. Strawberry gall bladder

Correct answer: 3. Chronic pancreatitis

Explanation: In chronic pancreatitis chain of lake appearance is seen in ERCP Ref - SRB's manual of surgery 5e p692